Cyanide odor is of:
1. Rotten egg
2. Fishy
3. Fruity
4. Bitter almond

Correct answer: 4. Bitter almond

Explanation: Ans. Bitter almond